Volcano ulcers in esophagus are seen in
1. Herpetic esophagitis
2. Candida esophagitis
3. Apthous ulcer in crohn
4. HIV esophagitis

Correct answer: 1. Herpetic esophagitis

Explanation: Answer- A. Herpetic esophagitisThe ulcers of herpes esophagitis can haye a punctate, linear, stellate, or volcano-like appearance, often with a thin halo fo edemaat the margins.The ulcers may be clustered together or widely separated with normal intemening mucosa.